Tics, hair pulling, nail biting behavior are best treated with?
1. Medications
2. Behavior therapy
3. ECT
4. Psychodynamic therapy

Correct answer: 2. Behavior therapy

Explanation: Ans. is 'b' i.e., Behavior therapy * Nail tic disorders are examples of body-focused repetitive behaviors (BFRBs). They are self-grooming behaviors that include pulling, picking, biting or scraping one's hair, skin or nails. They include -A) Hair pulling to the point of having seriously thinned hair or bald spots, missing eyebrows, or eyelashesB) Skin picking, resulting in scabs, sores that never heal, holes in the skin, and scarringC) Nail and/or cuticle biting, causing bleeding or infected fingertipsD) Blemish picking or squeezing, causing scarring and infectionsE) Biting the inside of the cheek* BFRBs most often begin in late childhood or in the early teens.Treatment* There are three main types of help. These are behavioral therapy, medication, and family therapy:1) Behavioral therapy is usually the preferred way. It consists of two approaches: Habit Reversal Therapy (HRT), which teaches the sufferer a set of alternative behaviors that can help them focus themselves, interrupt, and block the behavior, and Stimulus Control (SC), which teaches them how to identify, change, and control the different triggers present in their routines, environments, and moods that lead to the behaviors.2) Medication can be of help in some cases. It should be regarded as a tool to help with behavior therapy. Effective medications are Clomipramine, Selective Serotonin Reuptake Inhibitors (SSRIs),Other Antidepressants, Naltrexone, Neuroleptics, Lithium, Other Agents/ Supplements3) Family therapy can be extremely valuable in a number of ways, and can make important contributions in healing the family, and aiding the sufferers recovery.